Urea cycle enzymes area) Glutaminaseb) Asparaginasec) Argininosuccinate synthetased) Ornithine transcarboxylasee) Glutamate dehydrogenase
1. ab
2. bc
3. bd
4. cd

Correct answer: 4. cd

Explanation: Enzymes involved in the urea cycle are carbamoyl phosphate synthetase-I, ornithine transcarbamylase, argininosuccinate synthase, arginosuccinase, and arginase.
Read the option 'd' carefully, it is ornithine transcarboxylase (not ornithine transcarbamylase, which is involved in urea cycle).
I am not sure whether both are the same enzyme or not as no textbook has mentioned this. But according to the following statement, ornithine transcarboxylase is involved in the urea cycle:-

"With the exception of X-linked ornithine transcarboxylase deficiency, urea cycle disorders are inherited in an autosomal recessive fashion".

And all textbooks have mentioned that all urea cycle disorders are autosomal recessive, except for ornithine transcarbamylase deficiency, which is X-linked disorders.
Thus, my interpretation is that both are same.